Which cell type migrates into the gingival sulcus in large
numbers in response to dental plaque:
1. Mast cells
2. Neutrophils
3. Lymphocytes
4. Plasma cells

Correct answer: 2. Neutrophils